All are metabolic causes of liver disease except
1. Histiocytosis
2. Hemochromatosis
3. Gaucher's disease
4. Wilson disease

Correct answer: 1. Histiocytosis

Explanation: Ans. is 'a' i.e., HistiocytosisMetabolic liver diseases can be classified into 3 categories:Manifestations due to hepatocellular necrosis: Galactosemia, hereditary fructose intolerance, tyrosinemia type I, Wilson disease, Hemochromatosis and al -antitrypsin deficiency.Cholestatic jaundice :Al -antitrypsin deficiency, Byler's disease, cystic fibrosis, Niemann-Pick disease and some disorders of peroxisome biogenesis.Hepatomegaly (disorders with liver damage & storage diseases ): Glycogen storage diseases, cholesteryl ester storage disease and, when associated with splenomegaly, lysosomal storage diseases (eg:- Gaucher disease).